Concurrent list does not encompass -
1. Prevention of extension of communicable disease from one unit to another
2. Prevention of adulteration of food stuffs
3. Regulation and development of medical profession
4. Vital statistics

Correct answer: 3. Regulation and development of medical profession

Explanation: Ans. is 'c' i.e., Regulation and development of Medical profession Regulation and development of Medical profession is included inthe Union list and not in the Concurrent list. The Union Ministry' of Health and Family Welfare and its Functions. The functions of the Union Health Ministry are set out in the seventh schedule of Article 246 of the constitution of India under two lists. a) Union List b) Concurrent List Union list (Function Include) Concurrent list (Functions include) 1) International health relations and adminstration of port quarantine 1) Prevention of extension of 2) Administration of central institues such as the All India Institure of commit Hirable diseases from Hygiene and and Public Health, Kolkata; National Institute of one unit to another Control of Communicable Diseases, Delhi etc. 2) Prevention of adulteration of 3) Promotion of research through research centres and other bodies, foodstuffs. 4) Regulation and development of medical, pharmaceutical, dental and 3) Control of drugs and poisons nursingprofessions 4) Vital statistics 5) Establishment and maintenance of drug standards 5) Labour welfare 6) Census and collection and publication of other statistical data 6) Ports other than major 7) Immigration and emigration 7) Economic and social planning 8) Regulation of labour in the working in mines and oil fields and and 9) Coordination with states and with other ministries for promotion of 8) Population control and Family health. Planning.